All of the following can cause hypersecretion of prolactin, except?
1. Prolactinoma
2. Haloperidol
3. Hypothyroidism
4. Cabergoline

Correct answer: 4. Cabergoline

Explanation: The function of dopamine is to supress the prolactin secretion. Prolactin agonists reduce secretion of prolactin and antagonists increase the secretion of prolactin. Cabergoline is a long acting dopamine agonist. The drug suppresses prolactin secretion. Used to treat prolactinoma. All others can cause increased secretion. High prolactin levels are also associated with Hypothyroidism.